The power to summon persons by a police officer comes under which section of CRPC
1. 39
2. 175
3. 357
4. 416

Correct answer: 2. 175

Explanation: Section Deals with 39 Duty to give information 53 examination of accused by a medical at the request of medical professor 53A examination of person accused of rape by medical practitioner 54 examination of arrested person by medical practitioner by request of arrested person 61-69 summons 161 the police has the power to examine witness 162 oral statements made to the police and recorded by police should not be signed 175 power to summons by a police officer Reference :the essentials of Forensic Medicine and toxicology page number 55